O2 dissociation curve is shifted to right in all except
1. Hypercapnea
2. Rise in temperature
3. Raised 2, 3 DPG level
4. Metabolic alkalosis

Correct answer: 4. Metabolic alkalosis

Explanation: Hb-O2 dissociation curve shift to left indicates more affinity of Hb to O2 and thus less delivery of O2 to tissues.
Shift to left seen in
-        Increased pH
-        Decreased 2,3 DPG, temperature, PCO2
-        HbF (Fetal)
Shift to right seen in
-        Decreased pH
-        Increased 2,3DPG, temperature, PCO2
-        HbS (Sickle cell)